Bronchiolithiasis means
1. Calcified lymph nodes eroding into bronchus
2. Foreign body calcified in bronchus
3. Lithium deposition in bronchial wall
4. A hamartoma

Correct answer: 1. Calcified lymph nodes eroding into bronchus

Explanation: Ans: a (Calcified lymph nodes eroding into bronchus)Ref: Dorland's 28thed, p. 231